Which of the following etiological agents corresponds with pyelonephritis?
1. Mycoplasma pneumoniae
2. Mycoplasma hominis
3. Ureaplasma urealyticum
4. All of the above

Correct answer: 2. Mycoplasma hominis

Explanation: Mycoplasma hominis colonizes lower genitourinary tract of almost 50% healthy sexually active adults. It is an opportunist pathogen that can invade upper genitourinary tract and cause infections. It adheres to the epithelial cells of mucosal surfaces in urogenital tract and can not be eliminated by mucosal secretion and urine. It is mostly resistant to erythromycin but sensitive to tetracycline and lincomycin. It is associated with following infections in adults: Pyelonephritis Salpingitis Pelvic inflammatory disease Postabortal fever Postpartum fever Ref: Brooks G.F. (2013). Chapter 25. Mycoplasmas and Cell Wall-Defective Bacteria. In G.F. Brooks (Ed), Jawetz, Melnick, & Adelberg's Medical Microbiology, 26e.